The blobs of the visual cortex are associated with
1. Ocular dominance
2. Orientation
3. Color processing
4. Saccadic eye movements

Correct answer: 3. Color processing

Explanation: Bobs in the visual cortex are associated with colour vision and definition.